In mammalian tissue, glycine is synthesized from the following precursors:
1. Choline
2. Serine
3. Alanine
4. All of the above

Correct answer: 4. All of the above

Explanation: Glycine aminotransferases can catalyze the synthesis of glycine from glyoxylate and glutamate or alanine. Unlike most aminotransferase reactions, these strongly favor glycine synthesis. Additional important mammalian routes for glycine formation are from choline and from serine. Ref: Rodwell V.W. (2011). Chapter 27. Biosynthesis of the Nutritionally Nonessential Amino Acids. In D.A. Bender, K.M. Botham, P.A. Weil, P.J. Kennelly, R.K. Murray, V.W. Rodwell (Eds), Harper's Illustrated Biochemistry, 29e.